All of the following are true for ADH except:
1. Post-operative increase in secretion
2. Neurosecretion
3. Increased secretion when plasma osmolality is low
4. Act on disal tubule and icrease permeability

Correct answer: 3. Increased secretion when plasma osmolality is low

Explanation: C i.e. Increased secretion when plasma osmolality is low